Drug of choice in herpes simplex encephalitis is ?
1. Acyclovir
2. Vidarabine
3. Interferon
4. Amantadine

Correct answer: 1. Acyclovir

Explanation: Ans. is 'a' i.e., Acyclovir